Which among the following is Autosomal dominant with an expression during adolescence?
1. Duchenne's dystrophy
2. Becker's dystrophy
3. Facioscapulohumeral dystrophy
4. Congenital muscular dystrophy

Correct answer: 3. Facioscapulohumeral dystrophy

Explanation: Facioscapulohumeral dystrophy is an autosomal dominant condition with onset during adolescence. It involves face, shoulder and upper arm. The speed of progression of the disease is variable. Ref: O P Ghai, 5th Edition, Page 424.